Denominator refers to
1. Part of presentation lying over the int os
2. Relation of different parts of fetus to one another
3. Bony fixed point of reference on presenting part
4. Part of fetus lying in the lower segmebt of uterus

Correct answer: 3. Bony fixed point of reference on presenting part

Explanation: Bony prominence on the presenting part is the denominator